The recent treatment of short bridle passable stricture of urethra in the penile and bulbous urethra is
1. Internal urethrotomy with Thompson-Walker's urethrotome
2. Optical internal urethrotomy
3. Syme's operation
4. Wheelhouse operation

Correct answer: 2. Optical internal urethrotomy

Explanation: Endoscopic (internal) urethrotomy Internal urethrotomy is performed using the optical urethrotome. The stricture is cut under visual control using a knife passed through the sheath of a rigid urethroscope. The stricture is usually cut at the 12 o'clock position, taking care not to cut too deeply into the vascular spaces of the corpus spongiosum that surrounds the urethra. It is possible to get lost when trying to cut a way through a very tight stricture, and this is especially true when there are false passages because of previous dilatation attempts. Accordingly, a guidewire should be passed through to the bladder prior to incision of the stricture in order to establish the true lumen of the urethra. Following urethrotomy a catheter should be left in situ for 1-3 days afterwards. A single urethrotomy seems to give a permanent cure of an uncomplicated stricture in about 50% of patients. Success rates are highest when the stricture is short and when it is present within the bulbar urethra. In contrast, failure rates are highest in long strictures, strictures within the penile urethra and in recurrent strictures. The main complications are infection and bleeding. Ref: Bailey and love 27th edition Pgno : 1484